The threshold for prophylactic platelet transfusion is __________platelets / mL.
1. 5000
2. 10000
3. 15000
4. 50000

Correct answer: 2. 10000

Explanation: The threshold for prophylactic platelet transfusion is 10,000/mL. For invasive procedures, the target level is 50,000/mL. Note: Shelf life of donor platelets is 5 days.It is stored on a special agitator at 20-24 degC. The half-life of transfused platelets is 3-5 days. One unit of pooled platelets should be infused over a period of time less than 30 minutes because of the risk of bacterial proliferation.